'WHO STEPS' is used for
1. Communicable diseases
2. Non-Communicable diseases
3. Immunodeficient diseases
4. Autoimmune diseases

Correct answer: 2. Non-Communicable diseases

Explanation: Who has developed a survey methodology known as"the STEPS Non-communicable Disease Risk Factors Survey" The methodology prescribes three steps - Questionnaire, physical measurements and biochemical measurements.Park 23e pg: 364